Capsicum seed can be confused with:
1. Strychnine
2. Dhatura
3. Ricinus
4. Opium

Correct answer: 2. Dhatura

Explanation: Ans. Dhatura